At distal end of mandibular arch pear shaped structure which is composed of typical gingival tissue known as?
1. Retromolar pad
2. Retromolar papilla
3. Pterygomandibular raphe
4. Masseteric notch

Correct answer: 2. Retromolar papilla

Explanation: Retromoplar papilla:

It is an scar/remnants of gingival tissue of last mandibular molar extraction

Retromolar Pad:

Triangular pad of soft tissue at distal end of lower ridge.